The following local anesthetic raises BP instead of tending to cause a fall?
1. Cocaine
2. Dibucaine
3. Lignocaine
4. Procaine

Correct answer: 1. Cocaine

Explanation: All LA's cause hypotension Except cocaine.Cocaine increases blood pressure by inhibiting the reuptake of catecholamines.